A 21-year-old man presents with symptoms of headache, fever, chills, and discomfort in both sides of his jaw. He has also noticed discomfort in his testes, but no dysuria or urethral discharge. Physical examination reveals bilateral enlargement of the parotid glands, as well as bilateral testicular enlargement and tenderness on palpation. His temperature is 38.5degC pulse rate of 92/min, and the remaining examination is normal. Laboratory data show hemoglobin 15 g/dL; hematocrit 40%; WBC 12000/mL, with 30% segmented neutrophils, 8% monocytes, and 62% lymphocytes. Which of the following statements concerning this disease is true?
1. the disease is caused by a herpesvirus
2. the incubation period is 3-5 days
3. the most common complication of this disease in post-pubertal boys and men is orchitis
4. recurrent infections may occur

Correct answer: 3. the most common complication of this disease in post-pubertal boys and men is orchitis

Explanation: Orchitis occurs in about 20% of males, but is usually unilateral, thus sterility is rare. The disease is caused by a paramyxovirus and one infection confers lifelong immunity. The incubation period is 14-18 days. Serum amylase is elevated in most cases of mumps because of parotitis, not pancreatitis. Other complications include thyroiditis, myocarditis, and polyarthritis.